The factories Act (1976) prohibits employmnet of a person below -
1. 10 years
2. 14 years
3. 18 years
4. 21 years

Correct answer: 2. 14 years

Explanation: The Act prohibits the employment of children's below the age of 14 years and declares persons between 15-18 to be adolescents. (REF. PARK'S TEXTBOOK OF PREVENTIVE AND SOCIAL MEDICAL 21ST EDITION. PAGE NO - 756)